The most clinically significant skin eruption associated with M. pneumoniae infection is:
1. Erythema multiforme major
2. Bullous eruptions
3. Toxic epidermal necrosis
4. Pyostomatitis vegetans

Correct answer: 1. Erythema multiforme major

Explanation: Erythema multiforme major (Stevens-Johnson syndrome) is the most clinically significant skin eruption associated with M. pneumoniae infection. Ref:Harrisons Principles of Internal Medicine, 18th Edition, Page 1418